In Huntington chorea the causative mutation in the protein huntingtin is a:
1. Point mutation
2. Gene deletion
3. Frameshift mutation
4. Trinucleotide repeat expansion

Correct answer: 4. Trinucleotide repeat expansion

Explanation: Huntington disease (HD) Mutation in the HTT gene which codes for protein called huntingtin which is important to neurons. The HTT mutation involves a DNA segment known as a CAG trinucleotide repeat. Made up of a series of three DNA building blocks (cytosine, adenine, and guanine) that appear multiple times in a row leading to the disease.